Cytotoxic agent with maximum emetogenic potential:
1. Cisplatin
2. Daunorubicin
3. Bleomycin
4. Methotrexate

Correct answer: 1. Cisplatin

Explanation: Ans: A i.e. Cisplatin Emetogenic potential of drugs Emetogenic potential of cisplatin is high (other drugs are cyclophosphamide, actinomycin-D) Daunorubicin has moderate emetogenic potential Bleomycin and Methorexate has mild emetogenic potential